Which of the following Anti-TB drug can cause "Steven Johnson Syndrome"?
1. PAS
2. Thioacetazone
3. Ethionamide
4. Isoniazid

Correct answer: 2. Thioacetazone

Explanation: Thioacetazone is a bacteriostatic drug which can lead to Steven Johnson Syndrome, hypersensitivity and bone marrow suppression. It should not be used in cases of TB with HIV coinfection.